Salt losing nephritis is:
1. Interstitial nephritis
2. Polycystic Kidney
3. Lupus nephritis
4. R.P.G.N

Correct answer: 1. Interstitial nephritis

Explanation: Most of the salt excreted from the body is reabsorbed proximal convoluted tubule and hence in interstitial nephritis where the tubule is involved, the salt loss will be seen.